BMI cut off for obesity is -
1. 28
2. 30
3. 32
4. 40

Correct answer: 2. 30

Explanation: Ref-Park's textbook of Preventive and Social Medicine 24th edition. .